maximum absorption of IRON is seen in?
1. duodenum
2. ileum
3. colon
4. jejunum

Correct answer: 1. duodenum

Explanation: absorption of iron is maximum in duodenum. vit b12 absorption is maximum in ileum ref: guyton and hall